True about treatment of nocturnal enuresis is
1. Imipramine
2. CPZ
3. Alprazolam
4. Haloperidol

Correct answer: 1. Imipramine

Explanation: Treatment of nocturnal enuresisThe management consists of one or more of the following measures:1. Restriction of fluid intake after 8 PM, in nocturnal enuresis.2. Bladder training during the daytime, aimed at increasing the holding-time of the bladder.3. Interruption of sleep before the expected time of bed wetting. The child should be fully woken up and made aware of the passing of urine.4. Conditioning devices, which cause an alarm to sound as soon as the voided urine touches the bedsheet.5. Supportive psychotherapy for the child, parents and the whole family is often needed.6. Pharmacotherapy: Drug treatment is usually not a preferred option for the treatment of enuresis.The drug of choice in those who need pharmacotherapy has traditionally been a tricyclic antidepressant, usually imipramine (25-75 mg/day). It probably acts by its anticholinergic effect as well as by decreasing the deep sleep (stage 4 NREM-sleep) period. However, there is a risk of sudden death in some children with the use of tricyclic antidepressants. It should never be used for children under the age of 6 years. Ref: A Short Textbook of Psychiatry, Niraj Ahuja, 7th Edition, pg. no. 169